In rape victim, hymen tear site
1. 2 o'clock
2. 12 o'clock
3. 10 o'clock
4. 7 o'clock

Correct answer: 4. 7 o'clock

Explanation: Ans. (D). 7 'o' Clock(Ref: The essentials of forensic medicine and toxicology; Dr. KS Narayana Reddy, 33rd edition; Page no: 419)The site of rupture in penile penetration is posterolateral (4 o' clock to 8 o' clock)